Woolsoer's disease is -
1. Pneumonic form of anthrax
2. Pneumonic plague
3. Hydatid disease of the lung
4. Caused by psittacosis

Correct answer: 1. Pneumonic form of anthrax

Explanation: Ans. is 'a' i.e., Pneumonic form of Anthrax